Tension pneumothorax due to fracture rib is treated by
1. Strapping
2. Tube drainage
3. IPPV
4. Internal fixation with open reduction

Correct answer: 2. Tube drainage